Failure of casting to seat on the cast is overcomed by
1. Scraping the cast to seat
2. Forcefully position the casting
3. Wash the casting with HCl
4. Discard if the discrepancy is more than 0.3mm

Correct answer: 4. Discard if the discrepancy is more than 0.3mm